Nosocomial infection occurs in hospital in
1. <12 hours
2. 12-14 hours
3. 24-48 hours
4. >48 hours

Correct answer: 4. >48 hours

Explanation: The term hospital infection, hospital-acquired infection or nosocomial infection are applied to infections developing in hospitalized patients, not present or in incubation at the time of their admission.
Such infections may become evident during their stay in hospital or, sometimes, only after their discharge.
Infections are considered nosocomial if they first appear 48 hours or more after hospital admission or within 30 days after discharge.